Melatonin is derived from -
1. Tyrosine
2. Tryptophan
3. Glutathione
4. None

Correct answer: 2. Tryptophan

Explanation: Ans. is -b' i.e., Tryptophan Amino acidsBiological important compoundTyrosineCatecholamines (epinephrine Q, norepinephrine Q, dopamine Q), thyroxine Q. triiodothrvonine, melanin Q.(Note : - Phenylalanine is the precursor of tyrosine, thus it can also give rise to all these compounds through tyrosine (phenylalanine - Tyrosine Q - Catecholamines Q, thyroxine Q, T3 melanin Q).TryptophanVitamin niacin Q, melatonin Q, Serotonin QGlycine Q,Arginine Q,methionine QCreatine QGlycine, cysteineBile saltsGlycineHemeAspartic acid and glutaminePyrimidine basesGlycine Q, aspartic acid, glutaminePurine bases Qb-alanineCoertzyme-AArginineNitric oxide QLysine, MethionineCarnitine